Jaipur foot was invented by ?
1. P. K. Sethi
2. S. K. Verma
3. B. L. Sehgal
4. H. R. Gupta

Correct answer: 1. P. K. Sethi

Explanation: Ans. is 'a' i.e., P. K. Sethi P. K. Sethi. Pramod Karan Sethi (28 November 1927 - 6 January 2008) was an Indian orthopaedic surgeon. With Ram Chandra Sharma, he co-invented the "Jaipur foot", an inexpensive and flexible artificial limb, in 1969.